All are parts of vulva except -
1. Labiaminora
2. Labia majora
3. Perineal body
4. Clitoris

Correct answer: 3. Perineal body

Explanation: Ans. is 'c' i.e., Perineal body o Vulva includes following structures :i) Labia major aii) Labia minoraiii) Mons pubisiv) Clitorisv) Bulb of vestibulevi) Vestibular glandsvii) Vaginal openingviii) Hymenix) Urethra] opening (urinary meatus)x) Bratholin's gland and periurethral skene's gland.